Surface ectoderm gives rise to all of the following structures except.
1. Lens
2. Corneal epithelium
3. Conjunctival epithelium
4. Anterior layers of iris.

Correct answer: 4. Anterior layers of iris.

Explanation: Ans. is 'd' i.e. anterior layer of iris The unique feature about development of iris is that not only its epithelium, but also its musculature is developed from ectoderm (not surface ectoderm but from neuro ectoderm).Normally the muscular structures develop from paraxial mesoderm and epithelial structures from ectoderm.Structures developing from Ectoderm (in eve)Structures developing from neuro ectodermRetinal pigment epithelium and its nine sensory layerEpithelium of iris Musculature of iris (a) constrictor pupillaedilator pupillaeOptic NerveEpithelium of ciliary bodyStructures developing from surface ectodermEpithelium of all the other structures develop from surface ectoderm.Structures developing from paraxial mesoderm (in eye)All the blood vessels in the eyeAll the muscular structures in the eye except irisScleraCorneal stroma and its endotheliumIris stroma and its endotheliumVitreousGlial tissue of optic N and its sheathsTrabecular meshwork and filtering passages.